The differential diagnosis of the finding Reticulocyte Index=>2.5 is all, EXCEPT:
1. Macrocytic anaemia
2. Hemolysis
3. Hemoglobinopathy
4. Blood loss

Correct answer: 1. Macrocytic anaemia

Explanation: Reticulocyte count >2.5 is seen in: Hemolysis/ hemorrhage Blood loss Intravascular hemolysis Metabolic defect Membrane abnormality Hemoglobinopathy Immune destruction Fragmentation hemolysis Ref: Harrison, 18th Edition, Page 454